Cryoglobulinemia is associated with?
1. Hepatitis C
2. Ovarian cancer
3. Diabetes mellitus
4. Leukaemia

Correct answer: 1. Hepatitis C

Explanation: Hepatitis C is associated with Cryoglobulinemia Cryoglobulinemic Vasculitis Hyperviscosity problems: TIA Neuropathy Vasculitis: Purpura Arthritis Kidney- Glomerulonephritis Progressive renal failure Nephrotic syndrome Note: Hepatitis B associated with=MGN Hepatitis C associated with= MPGN.